All of the following statements are true about sickle cell disease except -
1. Patient may require frequent blood transfusions
2. Acute infection is the most common cause of mortality before 3 years of age
3. There is positive correlation between conc. HBS and polymerization of HBS.
4. Patient presents early in life before 6 months of age

Correct answer: 4. Patient presents early in life before 6 months of age